Acute tubular necrosis can be caused by-
1. Contrast media
2. Hemolysis
3. Shock
4. All of the above

Correct answer: 4. All of the above